ECT is contraindicated in -
1. Raised ICT
2. Brain tumor
3. Head injury
4. All the above

Correct answer: 4. All the above

Explanation: Ans. is 'd' i.e., All the above Contraindications of ECTAbsolute : - Increased intracranial tension cerebrovascular response to ECT include marked increased in cerebral blood f1owr and blood flow velocity. Cerebral oxygen consumption increases as well. The rapid increase in systemic blood pressure may transiently overwhelm cerebral autoregulation and may result in increased in intracranial pressure. Therefore, the use of ECT is prohibited in patients w ith known space occupying lesion (brain tumor) or head injury, cerebral (intracranial) aneurysm.Relative : - Recent myocardial infarction, severe hypertension, cerebrovascular accident, severe pulmonary disease, Retinal detachment, Pheochromocytoma.